Diaphragm develops from -
1. Ectoderm
2. Mesoderm
3. Endoderm
4. Neuroectoderm

Correct answer: 2. Mesoderm

Explanation: Ans. is 'b'i.e., Mesoderm Development of diaphramo Diaphragm develops from 4 structures derived from mesoderm which unite to form a sheet.1) Septum transversum:- Gives origin to sternal part and central tendinous region.2) Pleuroperitoneal membrane:- Dorsal paired portion.3) Dorsal mesentry of oesophagus:- Gives origin to crural part (Dorsal unpaired portion).4) Lateral body walls (from cervical myotome):- Gives origin to peripheral costal portion of diaphragm.